Which is best method for supplementing nutrition in patients who have undergone massive resection of the small intestine is:
1. Parenteral
2. Enteral
3. Gas trostomy
4. All of the above

Correct answer: 1. Parenteral

Explanation: Ans. A: Parenteral Parenteral nutrition is indicated when energy and protein needs cannot be met by the enteral administration of these substrates. The most frequent clinical indications relate to those patients who have undergone massive resection of the small intestine, who have intestinal fistula or who have prolonged intestinal failure for other reason.